Which drugs action needs insulin presence to produce its therapeutic action?
1. Glibenclamide
2. Nateglinide
3. Pioglitazone
4. Empagliflozin

Correct answer: 3. Pioglitazone

Explanation: Metformin and glitazones require insulin for their action as they are just insulin sensitizers not releasers. They sensitize the tissue to insulin hence require insulin for their action. Ref: KD Tripathi 8th ed.